Cock’s peculiar tumour is
1. infected sebaceous cyst
2. osteomyelitis of skull
3. cyst in the skull
4. tumour of the skull

Correct answer: 1. infected sebaceous cyst